Which committee is known as "The Committee on Multipurpose Workers under Health and Family Planning"
1. Kartar Singh Committee
2. Mudaliar committee
3. Chadah committee
4. Jungalwalla committee

Correct answer: 1. Kartar Singh Committee

Explanation: Kartar Singh Committee The Government of India constituted a Committee in 1972 known as "The Committee on Multipurpose Workers under Health and Family Planning" under the Chairmanship of Kartar Singh, Additional Secretary, Ministry of Health and Family Planning, Government of India. The terms of reference of the Committee were to study and make recommendations on : (a) Structure for integrated services at the peripheral and supervisory levels; (b) the feasibility of having multipurpose, bi-purpose workers in the field: (c) the training requirements for such workers; and (d) the utilization of mobile service units set up under family planning programme for integrated medical, public health and family planning services operating in the field.